Generation time in epidemiology is defined as:
1. The interval between marriage and the birth of first child
2. The interval of time between the receipt of infection by host and maximal infectivity of the host
3. The interval of time between primary case and secondary cases
4. Interval of time between invasion by infectious agent and appearance of first sign or symptom of the disease/ in question

Correct answer: 2. The interval of time between the receipt of infection by host and maximal infectivity of the host

Explanation: Generation time: Time gap between entry of organism till its maximum infectivity. It is roughly equal to IP of the disease. OTHER DEFINITIONS: Incubation period: Time interval between invasion by an infectious agent & appearance of first sign or symptom of disease. Median Incubation period :Time required for 50% of cases to occur following exposure. Serial interval: Interval between primary & secondary case.